Nasolacrimal duct opens into:
1. Superior meatus
2. Middle meatus
3. Inferior meatus
4. Sphenoethmoidal recess

Correct answer: 3. Inferior meatus

Explanation: Ans. c (Inferior meatus). (Ref Bhargav, ENT, 5th ed., pg 51)THE LATERAL WALL OF NOSE# Consists anteriorly of the nasal bone, frontal process of maxilla & the lacrimal bone. Posterior to lacrimal bone, the lateral wall of nasal cavity is formed by ethmoid labyrinth, maxillary & inferior concha. The most posterior portion is formed by perpendicular plate of palatine bone & the medial pterygoid plate.# Superior & middle conchae are part of ethmoid bone, but the inferior conchae are separate pair of bones.AREA IN NOSECONTENTSSuperior turbinate-meatus1. Post ethmoidal air cells drain into it &2. Sphenoid sinus drain via sphenoethmoidal recess.Middle turbinate meatusMost important area, forms OMC where following drain into it: Q1. Anterior ethmoid air cells,2. Maxillary &3. Frontal sinuses.Inferior turbinate meatusLargest turbinate.1. Nasolacrimal duct drains into its anterior part.0Frontal recessFrontal sinuses communicate the medial meatus of ipsilateral half of nasal cavity by means of a passage called frontonasal canal/frontal recess.Anterior to frontal recess & anterior end of middle turbinate is the bony prominence of frontal process of maxilla known as Agger nasi, cells in it drain into ethmoid infundibulum.Osteomeatal unit/ complex (OMC) confluenceUncinate process is thin, curved lamina of bone from the lateral side of ethmoidal labyrinth that forms a portion of lateral nasal wall.Ethmoidal infundibulum is a trough shaped air space that is below bulla & above & lateral to uncinate process. It receives drain from anterior & middle ethmoid air cells & frontal & maxillary sinuses. The infundibulum may be narrowed if there is Concha bullosa0 (pneumatized middle turbinate) &/or large Haller's cell (anterior eth air cells present at the roof of Maxillary antrum).Hiatus semilunaris0 is curvilinear opening of lateral wall that is above uncinate process & below the bulla ethmoidalis. It separates uncinate process from ethmoidal bulla & serves as connection between infundibulum & middle meatus.The middle ethmoidal air cell produces a round swelling called bulla ethmoidalis on lateral wall of middle meatus.Onodi cells are most posterior ethmoidal cells that surround optic canal. 0